All the following are features of achondroplasia EXCEPT:
1. Diminished trunk length
2. Brachycephaly
3. Exaggerated lumbar lordosis
4. Trident hand

Correct answer: 1. Diminished trunk length

Explanation: Ans. A. Diminished trunk lengthAlthough the limbs are short in achondroplasia, trunk length (crown to pubis) is normal. The skull is brachycephalic, the face broad, and the bridge of the nose flattened, there is exaggeration of the normal lordotic curve of the lumbar spine. The digits of the hand are of equal length with the long and ring fingers spread forming a trident hand. Tibial and, less commonly, femoral bowing are also seen.